Severe hypertension is defined if systolic BP is greater than:
1. 140
2. 160
3. 180
4. 200

Correct answer: 3. 180

Explanation: Classification of blood pressure measurements: Category Systolic BP Diastolic BP Normal <130 <85 High normal 130-139 85-90 Stage 1 hypertension(mild) 140-159 90-99 Stage 2 hypertension(moderate) 160-179 100-109 Stage 3 hypertension(severe) >180 >110 Ref: Park 21st edition, page 344